Most dependent Bronchopulmonary segment in supine position is
1. Left Superior segment
2. Right Superior segment
3. Right posterior basal segment
4. Left posterior basal segment

Correct answer: 2. Right Superior segment

Explanation: Most dependent Bronchopulmonary segment in supine position is Right Superior segment.